Most common investigation done for obstructive jaundice –
1. CT scan
2. USG
3. X-ray
4. ERCP

Correct answer: 2. USG